The ratio of the dose that produces toxicity to the dose that produces a clinically desired or effective response in a population of individual is known as:
1. Efficacy
2. Potency
3. Therapeutic index
4. Partial agonist

Correct answer: 3. Therapeutic index